Most common uropathic obstruction in children is
1. Stricture
2. Stones
3. Posterior urethral valve
4. Anterior urethral valve

Correct answer: 3. Posterior urethral valve

Explanation: C. i.e. (Posterior urethral valve) (1362 -B & L 25th) (1289 - S. Das 5th)POSTERIOR URETHRAL VALVES are the most common obstructive urethral lesion in newborn and infants males and most common cause of end stage renal disease in boys (1008 - CSDT 12th)* They are usually just distal to the verumontanum*** Most reliable method to confirm the diagnosis is voiding cystourethrography*** Definitive treatment by transurethral resection of the valveMarion's Disease - congenital obstruction of the neck of the bladder